Bird beak appearance of distal oesophagus is seen in:
1. Achalasia cardia
2. Reflux oesophagitis
3. Carcinoma oesophagus
4. Hiatus hernia

Correct answer: 1. Achalasia cardia

Explanation: Ans. Achalasia cardia